Nuclear family consists of
1. Husband, wife and son
2. Husband, Wife and dependent children
3. Husband and wife only
4. Father, mother, husband and wife

Correct answer: 2. Husband, Wife and dependent children

Explanation: The nuclear or elementary family is universal in all human societies. It consists of the married couple and their children while they are still regarded as dependents.Park 23e pg: 683